All of the following nerves arise from the posterior cord of brachial plexus, EXCEPT:
1. Upper subscapular nerve
2. Lower subscapular nerve
3. Thoracodorsal nerve
4. Musculocutaneous nerve

Correct answer: 4. Musculocutaneous nerve

Explanation: Branches of the posterior cord of brachial plexus are upper subscapular nerve, lower subscapular nerve and thoracodorsal nerve. Musculocutaneous nerve is a terminal branch of the lateral cord and it provide motor innervation to the anterior compartment of the arm and sensory innervation to the lateral forearm. Branches of the medial cord are:Medial pectoral nerve (C8, T1)Medial cutaneous nerve of the arm (C8-T1)Medial cutaneous nerve of the forearm (C8-T1)Branch of lateral cord:Lateral pectoral nerve (C5-C7)Ref: Morton D.A., Foreman K.B., Albertine K.H. (2011). Chapter 30. Shoulder and Axilla.